The uses of anticholinergics include all the following except
1. Peptic ulcer
2. Motion sickness
3. Tachycardia
4. Spasmodic pain

Correct answer: 3. Tachycardia

Explanation: Atropine is used in bradycardia as it increases heart rate by inhibiting m2 receptors on heart Ref: KDT 6th ed pg 106